True about measles –a) Rash appear first on legb) Koplik spots are seen in retinac) Long term complication follows in form of SSPEd) Caused by RNA viruse) IP–IS 2–3 day
1. cd
2. bc
3. bd
4. ac

Correct answer: 1. cd